Greater cornea of hyoid bone is derived from which pharyngeal arch :
1. 1st arch
2. 2nd arch
3. 3rd arch
4. 4th arch

Correct answer: 3. 3rd arch

Explanation: Greater horn of hyoid develop from 3rd arch.